In renal transplant graft is placed in -
1. Upper retroperitoneal space
2. Iliac fossa
3. Normal anatomical site of kidney
4. Anywhere

Correct answer: 2. Iliac fossa

Explanation: Ans. is 'b' i.e., Iliac fossa